All of the following are signs of acute arsenic poisoning, except?
1. Red velvety gastric mucosa on postmortem
2. Acute tubular necrosis
3. Tenesmus
4. Rain drop pigmentation

Correct answer: 4. Rain drop pigmentation

Explanation: Ans. is 'd' i.e. Rain drop pigmentation o Chronic arsenic poisoning causes patchy brown raindrop type pigmentation.o Has been explained in previous sessions.